Which does not cause skin involvement -
1. M. tuberculosis
2. M. Ulcerans
3. M. Marinum
4. M. Kansasii

Correct answer: 4. M. Kansasii

Explanation: Ans. is 'd' i.e., M.kansasii